Ocular manifestations of neurofibromatosis
1. Neurofibromas of lids & Orbit
2. Glioma of optic nerve
3. Congenital glaucoma
4. All the above.

Correct answer: 4. All the above.

Explanation: Ocular - a,b,c
Cutaneous - cafe-au-lait spots to neurofibromota.